The drug combination which produces
Neuroleptanalgesia is
1. Daroperidol + Fentanyl
2. Droperidol + Ketamine
3. Droperiodl + Ether
4. Droperiodl + Thiopental sodium + Nitrous oxide

Correct answer: 1. Daroperidol + Fentanyl